All are B cell markers, except:
1. CD-15
2. CD-19
3. CD-21
4. CD-24

Correct answer: 1. CD-15

Explanation: . CD-15